Owls eye appearance inclusion bodies can be demonstrated in diagnosis of
1. HHV I
2. HHV 5
3. HHV 6
4. HHV 4

Correct answer: 2. HHV 5

Explanation: Owls eye appearance is seen with cytomegalo virus-HHV 5 -demonstrated in centrifuged deposits of urine or saliva Ref: Baveja 5th ed Pg: 447